When a cell transforms itself into different lineage the ability is known as
1. De differentiation
2. Re differentiation
3. Tran s differentiation
4. Sub differentiation

Correct answer: 3. Tran s differentiation

Explanation: Ref Robbins 9/e p26-27 The main difference between dedifferentiation and redifferentiation is that dedifferentiation is the process of regaining the capacity to divide mitotically by differentiated cells in plants whereasredifferentiation is the event of losing the ability to divide by dedifferentiated cells.